Arrhythmias refractory to the treatment of lignocaine can be treated by
1. Sotalol
2. Diltiazem
3. Amiodarone
4. Quinidine

Correct answer: 3. Amiodarone

Explanation: Katzung 11e p 241. Amiodarone is an antiarrhythmic medication used to treat and prevent a number of types of irregular heabeats. This includes ventricular tachycardia, ventricular fibrillation, and wide complex tachycardia, as well as atrial fibrillation and paroxysmal supraventricular tachycardia.